Infection within the right cavernous sinus results in the following signs except:
1. Constricted pupils in response to light
2. Engorgement of retinal veins
3. Ptosis of right eyelid
4. Right ophthalmoplegia

Correct answer: 1. Constricted pupils in response to light

Explanation: (a) Constricted pupils in response to light (Ref. Cummings, 6th ed., 174)In cavernous sinus thrombosis pupils are dilated and fixed due to the involvement of 3rd nerve and stimulation of sympathetic plexus.